Watershed line in anal canal ?
1. Hilton's line
2. Pectinate line
3. Mucocutaneous junction
4. None

Correct answer: 2. Pectinate line

Explanation: Ans. is 'b' i.e., Pectinate linePectinate line forms the water-shed line of anal canal.Area above pectinate line drains into internal iliac nodes and area below it drains into superficial inguinal nodes.